After undergoing surgery, for Carcinoma of colon a patient was found to have a single liver metastasis of 2cm. Which of the following is the next best step in management?
1. Hepatic Resection
2. Chemo radiation
3. Acetic acid injection
4. Radio frequency ablation

Correct answer: 1. Hepatic Resection

Explanation: Patients with solitary hepatic metastases without clinical or radiographic evidence of additional tumor involvement is treated with partial liver resection. Eligibility criteria for hepatic resection in a case of liver metastasis includes: absence of primary tumor, absence of extrahepatic metastasis, absence of portal or celiac lymph node metastases and enough functioning of remaining hepatic tissue to ensure adequate post operative hepatocellular function. Ref: Harrison's Internal Medicine, 18th Edition, Chapters 91- 92; Integrated Medical and Surgical Gastroenterology By J.J.B. Van Lanschot, Page 434